Transferrin in the blood is saturated with iron normally by:
1. 35%
2. 85%
3. 72%
4. 15%

Correct answer: 1. 35%

Explanation: Transport of Fe2+ into the enterocytes occurs divalent metal transporter 1 (DMT1). Some is stored in ferritin. A protein called hephaestin (Hp) is associated with ferroportin 1. It is not a transporter itself, but it facilitates basolateral transport. In the plasma, Fe2+ is converted to Fe3+ and bound to the iron transport protein transferrin. This protein has two iron-binding sites. Normally, transferrin is about 35% saturated with iron, and the normal plasma iron level is about 130 microg/dL (23 mumol/L) in men and 110 micro g/dL (19 mumol/L) in women. Ref: Barrett K.E., Barman S.M., Boitano S., Brooks H.L. (2012). Chapter 26. Digestion, Absorption, & Nutritional Principles. In K.E. Barrett, S.M. Barman, S. Boitano, H.L. Brooks (Eds), Ganong's Review of Medical Physiology, 24e.